Which type of congenital cataract presents with a disc of opacity involving the fetal and embyonal nucleus with many white dots looking like dust?
1. Lamellar cataract
2. Punctate cataract
3. Pulverulent cataract
4. Coronary cataract

Correct answer: 3. Pulverulent cataract

Explanation: Cataract centralis pulverulenta (Embryonic nuclear cataract) -It has dominant genetic trait and occurs due to inhibition of the lens development at a very early stage and thus, involves the embryonic nucleus. -The condition is bilateral and is characterised by a small rounded opacity lying exactly in the centre of the lens. -The opacity has a powdery appearance (pulverulenta) and usually does not affect the vision.